Figlu test is done for
1. Cyanocobalamine deficiency
2. Folic acid deficiency
3. Thiamine deficiency
4. Riboflavin deficiency

Correct answer: 2. Folic acid deficiency

Explanation: (B) (Folic acid deficiency) (285- Harshmohan 7th)A. Test for Folate deficiency - forminoglutamic acid (FIGLU) urinary excretion1. Urinary excretion of FIGLU2. Serum folate assay3. Red cell folate assayNormal range of serum folate is 6-18 ng/ml (value 4 or Less is diagnostic)B Test for vitamin B12 deficiency1. Serum vitamin B12 assay2. Shilling test" (Radio-isotop absorption test)3. Serum enzyme levelsC Thiamine deficiency - transketolase levels in blood